Medulloblastoma most common metastasis is to ?
1. Lung
2. CNS
3. Liver
4. Spleen

Correct answer: 2. CNS

Explanation: Ans. is 'b' i.e., CNS o Medullablastoma spread through CSF and frequently metastasizes to different locations in the brain and spine. o Extraneural metastasis to the rest of the body is rare.